Major complication of cysto gastrostomy for pseudopancreatic cyst
1. Infection
2. Obstruction
3. Fistula
4. Hemorrhage

Correct answer: 4. Hemorrhage

Explanation: Serious post op hemorrhage from cyst occurs from cysto gastrostomy Ref: CSDT 11th edition Pgno :638